The symptoms of dietary deficiency of niacin (which results in pellagra) will be less severe if the diet has a high content of:
1. Tryptophan
2. Tyrosine
3. Thymine
4. Thiamine

Correct answer: 1. Tryptophan

Explanation: a. Tryptophan(Ref: Nelson's 20/e p 325, Ghai 8/e p 118)Tryptophan can be converted to nicotinamide adenine dinucleotide (NAD) 60mg tryptophan gives rise to 1mg niacin.